A 14 year old boy present with headache fever and cough for 2 days. Sputum is scant and non purulent and gram stain reveals many white cells but no organisms. The treatment should be initiated with
1. Cefazolin
2. Erythromycin
3. Amikacin
4. Trovafloxacin

Correct answer: 2. Erythromycin

Explanation: Ref-KDT 6/e p729 Diagnosis is atypical pneumonia in the DOC is Erythromycin.